In a fracture shaft humerus which of the following complication requires immediate surgery:
1. Compound fracture
2. Nerve injury
3. Artery occlusion
4. Comminuted fracture

Correct answer: 3. Artery occlusion

Explanation: Indications of emergency surgery in orthopaedics: Compartment syndrome Vascular injury Open injury Joint dislocation/subluxation Progressive neural injury Compound/open injury: It is relatively lesser emergency as compared to vascular injury. In case of open injuries we can still wait for up to 12 to 24 hours. Nerve injury: Nerve injury in case of closed fracture of humerous is due to neuropraxia and usually function returns in about 6 months if managed conservatively. Comminuted fracture: It is not an emergent indication for surgery.